Not transmitted by soft Tick
1. Relapsing fever
2. KFD in India
3. KFD outside india
4. Q fever

Correct answer: 2. KFD in India